Evidence of decreased risk of Cardiovascular disease is associated with all of the following except:
1. Vitamin E supplementation
2. Low to moderate daily alcohol consumption
3. Regular physical activity
4. Potassium

Correct answer: 1. Vitamin E supplementation

Explanation: Factors decreasing risk of cardiovascular diseases: Regular physical activity Dietary goals like decreased salt, cholesterol intake Low to moderate daily alcohol consumption Potassium *Vitamin E supplementation are not associated with a proven benefit of decreased cardiovascular risk. Although some articles do cite a protective role of Vitamin E because of it's antioxidant action, there is no strong evidence to favour Vitamin E supplementation.